Subarachnoid space ends at
1. D12
2. L2
3. L5
4. S2

Correct answer: 4. S2

Explanation: The dura and arachnoid along with the subarachnoid space containing CSF extend up to 2nd sacral vertebra. Below the lower border of L1 and S2 vertebrae, the subarachnoid space contains 40 spinal nerve roots of L2-L5, S1-S5 and Co 1 which constitute the cauda equina. Ref: BD Chaurasia's HUMAN ANATOMY, Volume 3.